The poison that can be detected in hair long after death is -
1. Lead
2. Mercury
3. Arsenic
4. Cannabis

Correct answer: 3. Arsenic

Explanation: Arsenic poisoning can be detected from hair and nails long after death.